Gall stones does not contain
1. Oxalates
2. Cholesterol
3. Phosphate
4. Carbonate

Correct answer: 1. Oxalates

Explanation: Cholesterol is insoluble in water Bile acids and phospholipids in bile keep cholesterol in solution by formation of micelles An excess of cholesterol relative to bile acids and phospholipids allows cholesterol to form crystals and such bile is called lithogenic bile or supersaturated bile Oxalates take part in formation of renal calculi Ref: Sabiston 20th edition Pgno :1492